Which part ot the kidney is affected by Mercury?
1. PCT
2. DCT
3. Collecting duct
4. Loop of Henle

Correct answer: 1. PCT

Explanation: . PCT